Healthy thinking includes all except
1. Constancy
2. Continuity
3. Clarity
4. Organization

Correct answer: 3. Clarity

Explanation: Schneider suggested there were three features of helathy thinking: Constancy, Organisation and Continuity. Ref- Fish Psychopathology, 3e, pg 47.